Concealment of birth is punishable under:
1. Sec. 320 IPC
2. Sec. 312 IPC
3. Sec. 317 IPC
4. Sec. 318 IPC

Correct answer: 4. Sec. 318 IPC

Explanation: Ans. Sec. 318 IPC